The human plasma lipoprotein containing the highest percentage of triacylglycerol by weight is -
1. VLDL
2. Chylomicrons
3. HDL
4. LDL

Correct answer: 2. Chylomicrons

Explanation: Chylomicrons

Maximum triglyceride content → Chylomicrons
Maximum exogenous triglyceride → Chylomicrons
Maximum endogenous triglyceride → VLDL
Maximum cholesterol content → LDL